Manubriosternal joint -
1. Saddle type
2. Ball & Socket
3. Symphysis
4. Syndesmosis

Correct answer: 3. Symphysis

Explanation: C i.e. Symphysis